RULE OF HALVES RELATED TO-
1. OBESITY
2. BURNS
3. BLINDNESS
4. HYPERTENSION

Correct answer: 4. HYPERTENSION

Explanation: REF:-PARK 25TH EDITION PGNO:-404. RULEOF HALVES:- HYPERTENSION IS AN 'ICEBERG DISEASE'.ONLY ABOUT HALF OF HYPERTENSIVE SUBJECTS IN GENERAL POPULATION OF MOST OF THE DEVELOPED COUNTRIES ARE AWARE OF THE PROBLEM WERE BEING TREATED AND ONLY HALF OF THOSE TREATED WERE CONSIDERED ADEQUATELY TREATED. 1. The whole community 2. Normotensive subjects 3. Hypertensive subjects 4. Undiagnosed hypertension 5. Diagnosed hypertension 6. Diagnosed but untreated 7. Diagnosed and treated 8. Inadequately treated 9. Adequately treated.